GARDASIL vaccine is for -
1. HPV 16,18
2. HSV
3. HPV 6,11,16,18
4. Hepatitis B

Correct answer: 3. HPV 6,11,16,18

Explanation: Ans. is 'c' i.e., HPV 6,11,16,18Vaccines for Prevention of Cervical Cancer GardasilCerviraxTypeQuadrivalentBivalentEffective against HPV strains6,11, 16,1816, 18Schedule0, 2,6 months0, 1, 6 monthsRouteIntramuscularIntramuscularProtects againstCarcinoma cervix & genital wartsCarcinoma cervix